Which of the following ECG findings is associated with acute myocardial Infarction
1. Elevation of S wave
2. Prolonged QT interval
3. Tall T waves with increased amplitude
4. Prolonged PR interval

Correct answer: 3. Tall T waves with increased amplitude

Explanation: Answer is C (Tall T waves with increased amplitude) Acute myocardial infarction is associated with 'ST segment' elevation and tall, positive, hyperacute T waves (increased amplitude of T waves). 'When the acute ischemia is transmural, the ST vector usually is shifted in the direction of outer layers (epicardial), producing ST elevation and sometimes in the earliest stages of ischemia, tall, positive so called hyperacute T waves over the ischemic zone'